All are tests for seminal stains except:
1. Florence test
2. Creatine phosphate test
3. Takayama test
4. Barberio test

Correct answer: 3. Takayama test

Explanation: Ans: C i.e. Takayama test Stains and features If semen is present, florence test will show dark brown crystals of choline iodide. Levels over 400 units of CPK/ ml are almost diagnostic of seminal stains Blood stains with Takayama reagent produces pink, feathery crystals of haemochromogen/ reduced alkaline haematin. If prostatic secretion is present, yellow needle shaped rhombic crystals (spermine picrate) are seen